Which is a Loop diuretic?
1. Acetazolamide
2. Indapamide
3. Triamterene
4. Bumetanide

Correct answer: 4. Bumetanide

Explanation: (D) Bumetanide # Furosemide, Bumetanide are loop diuretics which inhibit Na+/K+ 20 symport from thick ascending limb of loop.> Indapamide is thiazide diuretic inhibits Na+ Cl' symport in distal convoluted tubule.> Triamterene, Spironolactone are potassium sparing diuretics, inhibits Na+ flux in the tubule.> High efficacy (Loop) diuretics are: Sulphonyl derivatives - Furosemide, Bumetanide Phenoxyacetic acid derivative - Ethacrynic acid Organomercurials - Mersary